Time interval between inoculation of infection to maximum infectivity is ?
1. Lead time
2. Median incubation period
3. Generation time
4. Serial inverval

Correct answer: 3. Generation time

Explanation: Ans. is 'c' i.e., Generation time Generation time - Period from receipt of infection to maximal infectivity. Serial interval - Gap between onset of primary case and secondary case.